Indications for cesarean hysterectomy are all except
1. Placenta accreta
2. Couvelaire uterus
3. Atonic uterus with uncontrolled PPH
4. Rupture uterus

Correct answer: 2. Couvelaire uterus

Explanation: Indications of caesarean hysterectomy include rupture of uterus,placenta accreta or morbidly adherent placenta,atonic uterus with uncontrolled PPH,big fibroid Couvelaire uterus which is a severe form of concealed abruptio placenta is not an indication for caesarean hysterectomy. (DC Dutta TB of obstetrics 8th edtn pg 679)